AE type of amyloid is seen in -
1. Medullary carcinoma thyroid
2. Primary amyloidosis
3. Multiple myeloma
4. Familial amyloidosis

Correct answer: 1. Medullary carcinoma thyroid

Explanation: Ans. is 'a' i.e., Medullary carcinoma thyroid Note - `E' in AE means endocrine. Endocrine amyloid is seen in medullary thyroid Ca & Type II DM.